All of the following drugs acts by blocking calcium channels except
1. Dantrolene
2. Nicardipine
3. Diltiazem
4. Verapamil

Correct answer: 1. Dantrolene

Explanation: Dantrolene is a directly acting skeletal muscle relaxant. It is used for treating malignant hyperthermia. It is available as an injection All others are calcium channel blockers used in HTN REF.Essentials of Pharmacology KD Tripathi 8th ed.